Which of the following drugs act through heptahelical (serpentine) receptors ?
1. Insulin
2. Estrogen
3. Local anaesthetics
4. Salbutamol

Correct answer: 4. Salbutamol